A child died soon after birth. On examination there was hepatosplenomegaly and edema all over body. Most probable diagnosis in:
1. a-thalassemia
2. b-thalassemia
3. Hereditary spherocytosis
4. ABO incompatibility

Correct answer: 1. a-thalassemia

Explanation: - This case history suggests NON IMMUNE HYDROPS - seen in severe variety of alpha thalassemia (HbH or Hb Barts). - ABO incompatibility usually leads to mild hemolysis, which is not severe enough to lead to hydrops fetalis. - b-thalassemia - Doesn't present immediately after birth